Which is the middle and large carpal bone ?
1. Scaphoid
2. Pisiform
3. Hamate
4. Capitate

Correct answer: 4. Capitate

Explanation: Ans. is 'd' i.e., CapitateAmong the given options only capitate lies in middle (not lateral or medial) and it is the largest carpal bone.Scaphoid is lateral most bone in proximal row, pisiform is medial most bone in proximal row and hamate is medial most bone in distal row.